Which of the following is the most potent H2 blocker used in peptic ulcer disease
1. Cimetidine
2. Famotidine
3. Ranitidine
4. Nizatidine

Correct answer: 2. Famotidine

Explanation: Famotidine is the most potent H2 blocker.